What should be the diameter of tungsten filament used as cathode:
1. 1mm in diameter.
2. 2mm in diameter.
3. 1cm in diameter.
4. 2cm in diameter.

Correct answer: 2. 2mm in diameter.